PUFA consumption is associated with
1. Lowering of serum cholesterol, rise in LDL cholesterol
2. Lowering of serum cholesterol, lowering of LDL cholesterol
3. Rise in serum cholesterol, rise in LDL cholesterol
4. Rise in serum cholesterol, lowering of LDL cholesterol

Correct answer: 2. Lowering of serum cholesterol, lowering of LDL cholesterol

Explanation: Ans. is 'b' i.e. lowering of serum cholesterol, lowering of LDL cholesterol "Diets rich in essential fatty acids have been reported to reduce serum cholesterol and low-density lipoproteins" - ParkEssential fatty are those fatty acids which cannot be synthesized by human body. They are essential because they can be derived only from food. These are 3 PUFALinoleic acidLinolenic acidArachidonic acid